High or low fistula in ano are divided by which of the following
1. Anorectal ring
2. Anal canal
3. External anal spincter
4. Dentate line

Correct answer: 1. Anorectal ring

Explanation: Anorectal ring is formed by internal anal spincter, external anal spincter and puborectalis muscle.